Southern blotting is used for:
1. RNA
2. DNA
3. Protein
4. Antibody

Correct answer: 2. DNA

Explanation: Ans. b. DNA